During root canal instrumentation, the apical constriction is violated and enlarged to a size no. 50 instrument, which of the following is appropriate treatment for this canal:
1. Obturate with gutta-percha and surgically remove extruded excess
2. Fit a No.50 gutta-percha cone with sealer and carefully condense
3. Fit a No.50 gutta-percha cone with sealer but don't condense so as to keep the G.P. from being pushed into the foramen
4. Reinstrument 1 mm short of the foramen to a size No.60 or larger and obturate using an appropriately sized master cone

Correct answer: 4. Reinstrument 1 mm short of the foramen to a size No.60 or larger and obturate using an appropriately sized master cone